All of the following drugs cause hemolysis with G-6-PD deficiency except -
1. Primaquine
2. Chloroquine
3. Quinine
4. Pyrimethamine

Correct answer: 4. Pyrimethamine

Explanation: Ans. is 'd' i.e., Pyrimethamine